Aphthous ulcers are known as -
1. Canker sores
2. Marjolin's ulcer
3. Curling's ulcer
4. Cushing ulcers

Correct answer: 1. Canker sores

Explanation: Aphthous ulcers 

Also known as Canker Sores
These are superficial Ulcerations of the oral mucosa.
The lesions may be Single or multiple.
Ulceration is surrounded by an erythematous halo and is Covered by a thin exudate.